A patient with H. pylori infection is treated with drugs. The best method to detect presence of residual H. pylori infection in this person is -
1. Rapid urease test
2. Urea breath test
3. Endoscopy and biopsy
4. Serum anti H. pylori titre

Correct answer: 2. Urea breath test

Explanation: Davidson's principles and practice of medicine 22nd edition. *urea breath test is highly specific and sensitive.in detection of h pylori infection